Chloride responsive alkalosis, causes are -a) Severe vomitingb) Bartter's syndromec) Milk alkali syndromed) Frusemide therapy
1. acd
2. bcd
3. abc
4. ab

Correct answer: 1. acd